Not a feature of TB spine-
1. Back pain earliest symptom
2. Stiffness of back
3. Exaggerated lumbar lordosis
4. Cold abscess

Correct answer: 3. Exaggerated lumbar lordosis

Explanation: Ans. is 'c' i.e., Exaggerated lumbar lordosis Clinical features of TB of the spine o The disease is commonest in young adults, o The presenting complains are : - Back pain: Commonest and earliest symptom. Initially, pain occurs on sudden movement of the spine. Stiffness of back: Is also an early symptom and occur along with pain. Visible deformity : Gibbus or Kyphosis Localized swelling : Due to cold abscess Paraplagia : In neglected cases Constitutional symptoms : Evening fever\ loss of appetite, night sweat, loss of weight. o On examination, following findings may be seen : - Decreased range of motion. Local tenderness : Over the spinous process of the affected vertebra. Deformity : - Cervical spine : - Straight neck with loss of cervical lordosis. Thoracic : - Gibbus/kyphosis Lumbar : - Loss of lumbar lordosis Para-vertebral swelling : - Cold abscess